Positive symptoms in Schizophrenia is because of
1. Increased dopaminergic activity in Mesolimbic Pathway
2. Decreased dopaminergic activity in Mesocortical Pathway
3. Decreased dopaminergic activity in Nigrostriatal pathway
4. Increased dopaminergic activity in tuberoinfundibular pathway.

Correct answer: 1. Increased dopaminergic activity in Mesolimbic Pathway

Explanation: a) ↑ dopaminergic activity in mesolimbic pathway → positive symptoms
b) ↓ dopaminergic activity in mescortical pathway → Negative symtoms
c) ↓ dopaminergic activity in nigrostriatal parthway → Paskinsonism
d) Tuberoinfundibular pathway regulates prolactin secretion.